Ringed sideroblasts are seen in:
1. AML
2. MDS
3. Anaemia of chronic disease
4. ALL

Correct answer: 2. MDS

Explanation: - MDS: These are commonly associated with Ringed sideroblasts. Other conditions associated with Ringed sideroblasts are : Congenital sideroblastic anemia Lead poisoning Anti-tubercular drugs like isoniazid Pyridoxine deficiency Anemia due to alcoholism. - Their presence can be confirmed with Perl's stain